Rat is associated with?
1. Leptospirosis
2. Measles
3. Tetanus
4. Influenza

Correct answer: 1. Leptospirosis

Explanation: 7Leptospirosis affects wild and domestic animals world wide especially rodents such as rats, mice and voles Reference : Park's Textbook of preventive and social medicine, 24th edition.Pg no. 309